Primordial prevention is ?
1. Early diagnosis and treatment
2. Prevention of development of disease
3. Prevention of development of risk factors
4. Rehabilitation

Correct answer: 3. Prevention of development of risk factors

Explanation: Ans. is 'c' i.e., Prevention of development of risk factors